Chlamydia trachomatis infection commonly causes -
1. Infertility
2. Post coital bleeding
3. Amenorhoea
4. Malignancy

Correct answer: 1. Infertility

Explanation: Ans. is 'a' i.e., Infertility "Infertility associated with fallopian tube scarring has been strongly linked to antecedent C. trachomatis infection in serological studies."